Collapsing glomerulopathy, features:
1. Tuft necrosis
2. Mesangiolysis
3. Proliferation of parietal epithelium cells
4. Hypertrophy of visceral epithelium cells

Correct answer: 4. Hypertrophy of visceral epithelium cells

Explanation: Answer is D (Hypertrophy of visceral epithelium cells) The charachteristic feature of collapsing glomerulopathy are collapse of glomerular tuft and proliferation and hyperplasia of glomerular visceral epethelial cells. Amongst the options provided Hypertrophy of visceral epethelial cells is the single best answer of choice. A charachteristic feature of collapsing glomerulopathy is proliferation and hypertrophy of visceral epithelial cells' According to working Classification of FSGS (Pediatric Nephrology) Option A in question mentions 'tuft necrosis' and not collapse of tuft hence option D becomes the single best answer of choice.